only nerve that does not have ventral attachment at the base of the brain:
1. Trochlear
2. Trigeminal
3. Optic
4. Occulomotor

Correct answer: 1. Trochlear

Explanation: All cranial nerves have ventral attachments at the base of the brain except trochlear nerve which has dorsal attachment to base of brain.